All of the following are seen in case of occulomotor nerve palsy except
1. Ptosis
2. Pupillary dilatation
3. Superior and lateral position eyeball
4. Light reflex absent

Correct answer: 3. Superior and lateral position eyeball

Explanation: Ans. (c) Superior and lateral position eyeballRef: Pradeep Sharma 2/e, p. 130-133Eyeball is Down and out due to paralysis of both elevators (SR and IO) and paralysis of main adductor (MR)Occulomotor nerve forms the efferent pathway of the Light reflex pathway, thus, Light reflex is lost in 3rd cranial nerve palsy